HbsAg positive person can have following association/s -a) Membraneous glomerulonephritisb) MCDc) RPGNd) FSGSe) MPGN
1. ae
2. b
3. ab
4. ad

Correct answer: 1. ae